Sudden painful loss of vision is seen in:
1. Angle closure glaucoma
2. Endopthalmitis
3. Acute uveitis
4. All

Correct answer: 4. All

Explanation: Ans. All A, B, and C